Most common tumour of pituitary' is -
1. Prolactinoma
2. GH secreting adenoma
3. ACTH secreting adenoma
4. TSH secreting adenoma

Correct answer: 1. Prolactinoma

Explanation: Ans. is 'a' i.e., Prolactinoma Types of adenomasSecretionStainingPathology% of hormone production casesLacto trophicadenomas(prolactinomas)Secrete prolactinAcidophilicGalactorrhea, hypogonadism, amenorrhea, infertility, and impotence30%SomatotrophicadenomasSecrete growth hormone (GH)AcidophilicAcromegaly in adults; gigantism in children15%CorticotrophicadenomasSecrete adenocorticotropic hormone (ACTH)BasophilicCushing's disease10%GonadotrophicadenomasSecrete luteinizing hormone (LH), follicle stimulating hormone (FSH) and their subunitsBasophilicUsually doesn't cause symptoms10%Thyrotrophic adenomas (rare)Secrete thyroid-stimulating hormone (TSH)Basophilic to chromophobicOccasionally hyperthyroidism, usually doesn't cause symptomsLess than 1%Null cell adenomasDo not secrete hormonesMay stain positive for synaptophvsin 25% of pituitary' adenomas are nonsecretive